Space maintainers are usually needed in the:
1. Mandibular primary incisor teeth area
2. Mandibular primary canine teeth area
3. Mandibular primary second molar area
4. Maxillary primary incisor teeth area

Correct answer: 3. Mandibular primary second molar area